Mouse-nibbled vocal cord is seen in
1. Tuberculosis
2. Leprosy
3. Laryngeal papilloma
4. Epiglottitis

Correct answer: 1. Tuberculosis

Explanation: The mouse-nibbled appearance of vocal cords is caused by tuberculosis. Ulceration of vocal cords gives them the mouse nibbled appearance. Swelling in the Interarytenoid region giving a mamillated appearance. Psuedoedema of the epiglottis " turban epiglottis ". Ref: PL Dhingra 7th edition of Ear, Nose and Throat; Pg no 331